All the following are the objectives of access cavity preparation EXCEPT
1. To remove all caries
2. To completely unroof the pulp chamber
3. To achieve straight line access to apical foramen
4. To have converging axial walls for preservation of tooth structure

Correct answer: 4. To have converging axial walls for preservation of tooth structure